All are tocolytics except
1. Ritodrine
2. Salbutamol
3. Isoxsuprine
4. Misoprostol

Correct answer: 4. Misoprostol

Explanation: Misoprostol is indicated in cervical ripening prior to Labour whereas tocolytics inhibit uterine contractions and keep the uterus quiescent. Reference: Textbook of Obstetrics : Sheila Balakrishnan pg. 573,196